Treatment of Behcet's syndrome consists of:
(A)Vincristine
(B)Aspirin
(C)Glucocorticoids
(D)Thalidomide
1. ABC
2. BCD
3. CAD
4. BCA

Correct answer: 2. BCD

Explanation: The severity of the syndrome usually abates with time. Apart from the patients with CNS-Behcet's syndrome and major vessel disease, the life expectancy seems to be normal, and the only serious
complication is blindness.
 Mucous membrane involvement may respond to topical glucocorticoids in the form of mouthwash or paste. In more serious cases, thalidomide (100 mg/d) is effective. Thrombophlebitis is treated with
aspirin, 32 5 mg/d. Colchicine can be beneficial for the mucocutaneous manifestations of the syndrome.
Uveitis and CNS-Behcet’s syndrome require systemic glucocorticoid therapy (prednisone, 1
mg/kgperdav) and azathioprine, 2-3 mg/kg per day. Interferon has proved to be very effective not only for CNS-Behcet's syndrome but also for refractory uveitis.
''Topical agent used in Behcet's syndrome: Steroids, tacrolimus & local anesthetics"- Neena Khanna 3rd/204
Chlorambucil, pentoxifylline & cyclosporine are also used in Behcet's syndrome-CMDT 06/851 INTERNET
Anti-TNF therapy such as infliximab has shown promise in treating the uveitis associated with the disease. Another Anti-TNF agent, Etanercept. may be useful in patients with mainly skin and
mucosal symptoms.
Interferon alfa-2a may also be an effective alternative treatment, particularly for the genital and oral ulcers
Dapsone and rebamipide have been shown, in small studies, to have beneficial results for mucocutaneous lesions.
Given its rarity, the optimal treatment for acute optic neuropathy in Behcet's disease has not been established. Early identification and treatment is essential. Response to ciclosporin.
perioculartriamcinolone and IV methylprednisone followed by oral prednisone has been reported although relapses
leading to irreversible visual loss may occur even with treatment.